A female has a hypopigmented lesion on the centre of the forehead. Drug responsible is?
1. Hydroquinone
2. Ether metabolite of hydroquinone
3. Para tertiary butyl catechol
4. Para tertiary butylphenol

Correct answer: 4. Para tertiary butylphenol

Explanation: Hypopigmented lesions in the centre of the forehead suggest chemical leucoderma with para tertiary butyl phenol. Which is a component of bindi. (Therefore hypopigmentation is on central head).